The Tensor Tympani is a derivative of:
1. 1st arch
2. 2nd arch
3. 3rd arch
4. 4th arch

Correct answer: 1. 1st arch

Explanation: 1st arch